When closure in intercuspal position is attained during
mastication, movement stop for about _________ msec 
before another cycle begins.
1. 194 msec
2. 94 msec
3. 394 msec
4. 594 msec

Correct answer: 1. 194 msec